Type of bone present on labial surface of anterior teeth
1. Cortical
2. Cancellous
3. Exophytic
4. Osteophytic

Correct answer: 1. Cortical